A fertilized ovum reaches uterine cavity in?
1. 3-4 days
2. 5-6 days
3. 7-8 days
4. 10 days

Correct answer: 1. 3-4 days

Explanation: 3-4 days REF: William's obstetrics 22nd ed, Langman's Medical Embryology 9' edition page 45 LH Surge 24 hours before ovulation Ovulation 0 hours Fertilization 24 hours after ovulation (Day 1) Reaches uterine cavity 3-4 days post fertilization (Day 4-5 post ovulation) Implantation 7-9 day post fertilization